Wood workers are associated sinus Ca
1. Adeno Ca
2. Sq. cell Ca
3. Anaplastic Ca
4. Melanoma

Correct answer: 1. Adeno Ca